A 60 year old woman presents with generalized edema, Skin Ulceration and hypertension. Urine examination shows subnephrotic proteinuria (<2gm) and microscopic haematuria. serum complement levels are decreased and she is positive for anti-hepatitis c antibodies. The likely diagnosis is -
1. PSGN
2. Essential mixed cryoglobulinemia
3. Membrano proliferative glomerulonephritis
4. Focal segmental glomerulosclerosis

Correct answer: 2. Essential mixed cryoglobulinemia

Explanation: Acute post streptococcal glomerulonephritis is an immunologic response of the kidney to infection, characterized by the sudden appearance of edema, hematuria, proteinuria and hypertension . It is essentially a disease of childhood that accounts for approximately 90% of renal disorders in children. Ref Harrison20th edition pg 278